Which is NOT derived from second pharyngeal arch:
1. Posterior belly of digastric
2. Anterior belly of digastric
3. Buccinator
4. Platysma

Correct answer: 2. Anterior belly of digastric

Explanation: Anterior belly of digastric is derived from first pharyngeal archDerivatives of 2nd pharyngeal archStapes,Styloid process,Stylohyoid ligament, andLesser cornu of the hyoid bone.Muscles of faceOccipitofrontalis musclePlatysmaStylohyoid musclePosterior belly of DigastricStapedius muscleAuricular muscles